Enzyme deficiency in Von Gierke disease is
1. Glycogen synthase
2. Glucose-6-phosphatase
3. Branching enzyme
4. Muscle phosphorylase

Correct answer: 2. Glucose-6-phosphatase

Explanation: Type Name Enzyme Deficiency Clinical Features Ia Von Gierke disease Glucose-6-phosphatase Glycogen accumulation in liver and renal tubule cells Hypoglycemia Lactic acidemia Ketosis Hyperlipidemia Reference: Harper; 30th edition; Table: 18-2; Page no: 179